All are risk factors for preterm delivery except :
1. Absence of fetal fibronectin at < 37 weeks
2. Previous history of preterm baby
3. Asymptomatic cervical dilatation
4. Chylamydial infection of genital tract

Correct answer: 1. Absence of fetal fibronectin at < 37 weeks

Explanation: Absence of fetal fibronectin at < 37 weeks